Back examination of polytrauma patient is done by which method:-
1. Logroll
2. Barrel roll
3. Chin lift
4. primary survey

Correct answer: 1. Logroll

Explanation: Back examination of polytrauma patient is known as Logroll Back: Logroll - 5 people are required for examination of back, 3 for body, one for head & one for examining back; Per Rectum is done at this timeQ For log roll, ideal number of people required: 5Q Minimum number of people required for log roll: 4Q